Child with B.P. 190/110, pedal edema ++ ; facial edema ascites-absent. Gross hematuria diagnosis is -
1. Acute G.N.
2. Nephrotic syndrome
3. Renal thrombosis
4. Renal amyloidosis

Correct answer: 1. Acute G.N.

Explanation: Ans. is 'a' i.e., Acute GN. o Hematuria, hypertension and edema suggest the diagnosis of nephritic syndrome caused by acute glomerulonephritis. Causes of acute nephritic syndrome in children Primary glomerulonephritis Acute GN i) Post-streptococcal ii) Non-streptococcal Rapidly progressive GN Membranoproliferative GN Focal GN IgA nephropathy Systemic disease SLE PAN Wegener's granulomatosis Henoch-Schonlein purpura Cryoglobulinemia